A factory worker presents with excessive salivation, blue lines on gums, tremors, disturbed personality, insomnia, and loss of appetite. The most likely poisoning is -
1. Mercury
2. Lead
3. Arsenic
4. Phosphorus

Correct answer: 1. Mercury

Explanation: Excessive salivation, blue line on gums, tremors (i.e. Hatter's shake), disturbed personality (i.e. erethism) and loss of appetite (anorexia) suggest the diagnosis of mercury poisoning.